In specular microscopy, endothelial density is measured by
1. Optical doubling
2. Fixed frame analysis
3. Optical focusing
4. None

Correct answer: 2. Fixed frame analysis

Explanation: In specular microscopy, endothelial density is measured by Fixed frame analysis. Image : Fixed-frame counting principle andillustration of the three types of endothelial mosaics analyzed with the fixed-frame method. a)Only grey cells included within theframe and cut exclusively bytwo adjacent borders werecounted. b)Computer-generated regular hexagonal mosaics, c)computer-generated irregular mosaic,in order to mimicpolymorphic and pleomorphic mosaics, d)realhuman mosaic after Alizarinred staining of cornealendothelium with illustration of the eleven grids . Reference : AK kh